Alginates are made dust free by adding:
1. Glycol
2. Glycerol
3. Glutamic acid
4. alcohol

Correct answer: 1. Glycol